All the following are types of temperament Except
1. Slow to warm
2. Easy
3. Difficult
4. Unpredictable

Correct answer: 4. Unpredictable

Explanation: Chess and Thomas classified temperament of a child based on 9 dimensions into easy, slow to warm and difficult temperament. Reference: Kaplon and sadock, 11 th edition, synopsis of psychiatry, 11 th edition, pg no. 742